Human Mitochondrial Genome encodes:
1. 37 genes
2. 47 genes
3. 57 genes
4. 67 genes

Correct answer: 1. 37 genes

Explanation: MITOCHONDRIAL DNA: Present in eukaryotes Circular, double stranded High rate of mutations because of : no introns (prevent mutations) no repair enzymes no proof reading 1% of total cellular DNA Maternally inherited Total 67 proteins of respiratory chain, out of which 13 are from mitochondrial DNA. Multiple copies are present in the same cell Contains: 4 stop codons. 16,000 base pairs(which is around 1% of total cell DNA) 37 genes encoding for: 2 r RNA, 22 t RNA 13 protein sub-units Contains own ribosome (55 S) and circular dsDNA.